All the following antimicrobial agents are used topically except -
1. Clotrimazole
2. Griseofulvin
3. Nystatin
4. Miconazole

Correct answer: 2. Griseofulvin

Explanation: Ans. is 'b' i.e., Griseofulvin o Griseofulvin is used systemically for dermatophytosis. It is ineffective topically.